Which of the following are not associated with microcytic hypochromic RRCs on Peripheral smear?
1. Iron Deficiency Anemia
2. Lead
3. Sideroblastic anemia
4. Sickle Cell Anemia

Correct answer: 4. Sickle Cell Anemia

Explanation: Answer is D (Sickle cell Anemia) Sickle cell anemia and Hereditary Spherocytosis do not cause microcytic hypochromic anemia